Which of the following is not true about bulimia nervosa?
1. Invariable weight loss with endocrine disorder
2. Occurrence of both binge eating and inappropriate compensatory behaviors
3. Recurrent episodes of binge eating
4. Recurrent self - induced vomiting

Correct answer: 1. Invariable weight loss with endocrine disorder

Explanation: Bulimia nervosa: Characterized by episodes of binge eating followed by inappropriate ways of stopping weight gain - Purging (self-induced vomiting Weight is normal but there is fear of gaining weight Hypokalemia and Hypochloremia alkalosis Endocrine disorders are seen in anorexia nervosa and not bulimia nervosa.